A female multipurpose worker should be able to detect all of the following EXCEPT:
1. Mal-presentation
2. Renal disease
3. Anemia
4. Hydramnios

Correct answer: 2. Renal disease

Explanation: Ans (b) Renal diseaseRef: K. Park 23rd ed. / 903, 19&h/754* Renal disease cannot be picked up by a health worker unless it is responsible for alteration of the urine grossly.* Please refer to above explanation